All are caused by dimorphic fungi except:
1. North American Blastomycosis
2. South American Blastomycosis
3. Desert Rheumatism
4. Mycetoma

Correct answer: 4. Mycetoma

Explanation: Ans. D. MycetomaDimorphic fungi grow as yeast at 37 degrees C and moulds at 22 degrees C. Examples are Sporothrix (Sporotrochosis), Histoplasma (Histoplasmosis), Coccidioides (Desert rheumatism or Valley fever), Paracoccidioides (South American Blastomycosis), Blastomyces (North American Blastomycosis), Talaromyces Marneffei. Mycetoma is caused by Madurella fungus which is not dimorphic.